Which of the following is not a B cell neoplasm?
1. Hairy cell leukemia
2. Mycosis fungoides
3. Mantle cell lymphoma
4. Burkitt's lymphoma

Correct answer: 2. Mycosis fungoides

Explanation: Mycosis fungoides is a Mature T and NK cell neoplasm. Mature T and NK cell neoplasm T cell prolymphocytic leukemia Mycosis fungoides Sezary syndrome Aggressive NK - cell leukemia Systemic EBV 4 T - cell lymphoma of Childhood Adult T - cell leukemia/ lymphoma Follicular T - cell lymphoma